Ewing sarcoma clinically mimics
1. Osteomyelitis
2. Osteochondroma
3. Osteosclerosis
4. Heterotopic ossification

Correct answer: 1. Osteomyelitis

Explanation: Ewing sarcoma is one of the differential diagnosis for Subacute osteomyelitis ref : maheswari 9th ed